Siffert katz sign seen in
1. Chondromalacia patella
2. Blount's disease
3. CTEV
4. Rocker Bottom foot

Correct answer: 2. Blount's disease